Chemical use in vaginal sponge is -
1. Ethynil estradiol
2. Progesterone
3. Mifepristone
4. Nonoxynol-9

Correct answer: 4. Nonoxynol-9

Explanation: Ans. is `d' i.e., Non - oxynol - 9 Vaginal sponge It is marketed in USA under the trade name TODAY. o It is small polyurethane foam sponge saturated with spermicide, nanoxynol-9. o The failure rate :- i) Parous women --> 20 to 40 per 100 women years. ii) Nulliparous women --> 9 to 20 per 100 women years.